Which of the following is the shortest acting mydriatic?
1. Atropine
2. Tropicamide
3. Cyclopentolate
4. Homatropine

Correct answer: 2. Tropicamide

Explanation: Ref:KD Tripathi pharmacology 6th edition (page.no: 111) Tropicamide has the quickest (20-40 min) and briefest (3--6 hours) action but is a relatively unreliable cycloplegic. However, it is satisfactory for refraction testing in adults and as short acting mydriatic for fundoscopy. for infants and children, atropine must be used for fundoscopy